Which of the following substances is commonly used by washerman to put marks on clothes -
1. Calotropis procera
2. Plumbago rosea
3. Semecarpus anacardium
4. Croton tigluiurns

Correct answer: 3. Semecarpus anacardium

Explanation: Marking Nut Botanical name: Semicarpus anacardium Common name: Marking nut, bhilawa, biba Medicolegal Importance 1. Accidental poisoning -- quack medicine 2. Juice is applied to external genitalia of female as punishment for infidelity 3. Used to fabricate bruise/wound 4. Juice is thrown over other person to cause harm/injury 5. Juice is applied to cervical os to procure criminal abortion 6. Skin lesion produced by marking nut may be confused with contusion. REF;THE SYNOPSIS OF FORENSIC MEDICINE:KS NARAYANA REDDY;28th EDITION;PAGE NO317